The boy got unprovoked bite from a neighbour's dog. The animal control authority caught the dog and it was found to be healthy. What will be the next step?
1. Test antibody level of dog
2. Withhold immunisation and observe dog for 10 days for sign of rabies
3. Start post exposure prophylaxis and watch the dog 10 days
4. Kill the dog and watch for ngri body in brain

Correct answer: 3. Start post exposure prophylaxis and watch the dog 10 days

Explanation: - in case of unprovoked bite of animal, the post exposure prophylaxis of rabies should be started immediately. - the post exposure prophylaxis may be discontinued if the suspected animal is proved by appropriate laboratory examination to be free of rabies or in case of domestic dogs or cats, animal remains healthy throughout a 10 day observation period starting from the date of bite. Reference : Park's textbook of preventive and social medicine, 23rd edition, pg no:279